Pylorus preventing pancreatico duodenectomy - Structure preserved
1. Distal stomach
2. Gall bladder
3. Bile duct
4. Head of pancreas

Correct answer: 1. Distal stomach

Explanation: Ans. (a) Distal StomachRef: Sabiston 20th ed; pg. 1549* Whipple's Pancreatico Duodenectomy Procedure is the conventional procedure for Cancer head of Pancreas.* This Procedure is modified by Traverso and Longmire - Pylrous Preserving Pancreatico Duodenectomy with advantage of less dumping syndrome and Bile reflux.* The main difference between the conventional and Pylorus preserving is we preserve the distal stomach with pylorus here.